Resting membrane potential is mainly due to:
1. Na+
2. K+
3. Cl-
4. Ca++

Correct answer: 2. K+

Explanation: Nernst equilibrium potential for K+ =-94 mV is much close to RMP value of -90mV in nerves Nernst equilibrium potential for Na+= +61mv Hence RMP is close to or mainly due to K+ ion.